A 25 year-old man from New Jersy after a fight incurs blunt trauma to his upper outer arm. On physical examination, there is a 2 x 3 cm contusion. He bleeds but the initial soft tissue bleeding stops in a few minutes and the size of the bruise does not increase. Which of the following chemical mediators is most important in this episode of hemostasis?
1. Prostaglandin
2. Prostacyclin
3. Plasminogen
4. Thromboxane

Correct answer: 4. Thromboxane

Explanation: Thromboxane